Select the drug which is used to treat antibiotic associated pseudomembranous enterocolitis and is a component of anti H. pylori triple drug regimen:
1. Amoxicillin
2. Vancomycin
3. Metronidazole
4. Clotrimazole

Correct answer: 3. Metronidazole

Explanation: Metronidazole is the drug which is used to treat antibiotic associated pseudomembranous enterocolitis and is a component of anti H. pylori triple drug regimen. PSEUDO-MEMBRANE COLITIS MC organism responsible Clostridium difficile MC cause 3rd Gen. Cephalosporins > clindamycin DOC Metronidazole - Oral vancomycin According to latest guidelines, now oral vancomycin has become DOC for Pseudomembranous colitis.